Absolute proof of monozygosity is determined by
1. DNA finger printing
2. Intervening membrane layers
3. Sex of the babies
4. Reciprocal skin grafting

Correct answer: 1. DNA finger printing

Explanation: Zygosity refers to the type of conception and can only be determined by DNA testing. Refer page no 179 of Text book of obstetrics,sheila balakrishnan,2 nd edition.